Which of the following treatment is not done in ectopic pregnancy?
1. Salpingectomy
2. Salpingo-oophorectomy
3. Salpingostomy
4. Resection of involved segment

Correct answer: 2. Salpingo-oophorectomy

Explanation: Ans. is b, i.e. Salpingo-oophorectomyRef. Dutta Obs. 7/e, p 186; Shaw 14/e, p 249Surgical management of Ectopic pregnancy (laparoscopy laparotomy)Conservative surgeryRadical surgerySalpingostomy:* It is the procedure of choice when the patient is hemodynamcially stable and wishes to retain her future fertilitySalpingotomy:* Seldom done nowadaysSegmental resection and anastomosis:* It is done in case of isthmic pregnancy.Fimbrial expression of the ectopic pregnancy:* Risk of recurrence of ectopic pregnancy are high therefore not commonly performed.Salpingectomy Indications Ruptured ectopic* The patient has completed her family,* The tubes are grossly damaged* Ectopic pregnancy has recurred in a tube already treated conservatively.* Uncontrolled bleeding* Sac size > 5 cm.Salpingo-oophorectomy i.e. removal of tubes along with the ovaries is not recommended in young patients--'''Presently salpingo Oophorectomy is never recommended unless the ovary itself is grossly diseased or damaged". --Jeffcoate 7/e, p 154"The ipsilateral ovary and its vascular supply is preserved. (Oophorectomy is done only if the ovary is damaged beyond salvage or is pathological". --Dutta Obs. 6/e, p 188